At the end of the isometric relaxation phase
1. Atrioventricular valves open
2. Atrioventricular valves close
3. Corresponds to "C" wave in JVP
4. Corresponds to T wave in ECG

Correct answer: 1. Atrioventricular valves open

Explanation: At the end of Isovolumetric relaxation, the intraventricular pressures drop to less than the atrial pressure resulting in the opening of Atrioventricular valves Ref : Ganong 25th ed/page 539